Fomepizole is used for
1. Ethylene glycol poisoning
2. Ethyl alcohol poisoning
3. Ether poisoning
4. Type A lactic acidosis

Correct answer: 1. Ethylene glycol poisoning

Explanation: Fomepizole is used as antidote in ethylene glycol poisoning Reference Harrison 20 edition pg 768